Which of the following is not true about the risk factors of systemic sclerosis?
1. Human CMV infection
2. Human parvovirus B 19 infection
3. Miners exposed to lead
4. Drugs like bleomycin

Correct answer: 3. Miners exposed to lead

Explanation: Answer- C. Miners exposed to leadPatients with Systemic sclerosis (SSc) have increased serum antibodies to human cytomegalovirus (hCMV), and antitopoisomerase-I (Scl-70) autoantibodies recognize antigenic epitopes present on the hCMV-derived proteins.Drugs implicated in SSc-like illnesses include bleomycin, pentazocine and cocaine, and appetite suppressants linked with pulmonary hypertension.